Ghrelin is responsible for:
1. Stimulation of appetite
2. Suppression of appetite
3. Stimulation of sleep
4. Suppression of sleep

Correct answer: 1. Stimulation of appetite

Explanation: Stimulation of appetite